Hangman's fracture is -
1. Subluxation of C5 over C6
2. Fracture dislocation of C2
3. Fracture dislocation of ankle joint
4. Fracture of odontoid

Correct answer: 2. Fracture dislocation of C2

Explanation: Ans. is 'b' i.e., Fracture dislocation of C, EponymInjury of SpineBurst fractureComminuted fracture of the vertebral bodyChance fracture (Car seat belt injury)A horizontal fracture of the vertebra extending from body to the posterior element, caused by a strong distraction forceClay-Shoveller fractureAn avulsion fracture of spinous process of the lower cervical or upper thoracic vertebrae.Hangman's fractureA fracture through the pedicle and lamina of C, vertebra, with subluxation of C, over C.-caused by hanging.Jafferson fractureBurst fracture of atlas vertebra.